Phenylbutyrate is used in the treatment of urea cycle disorders, because
1. It activates deficient enzymes
2. It maintains urine output
3. It acidifies the urine
4. It scavenges nitrogen.

Correct answer: 4. It scavenges nitrogen.

Explanation: Phenylbutyrate and sodium benzoate act as ammonia(nitrogen) scavengers.